Which of the folloeing true about libman sac's endocarditis
1. It is along the line of closure
2. On either side of valve
3. It is friable
4. Organism are seen

Correct answer: 2. On either side of valve

Explanation: Ans. is 'b' i.e., On either side of valve